Exposure to cotton dust in a textile factory causes
1. Bagassosis
2. Byssinosis
3. Anthracosis
4. Silicosis

Correct answer: 2. Byssinosis

Explanation: (B) Byssinosis # Byssinosis is an asthma-like disorder in textile workers caused by inhalation of cotton dust, pathogenesis is obscure> Chest tightness, cough, and dyspnea are characteristically worse on Mondays or the first day back at work, with symptoms subsiding later in the week, repeated exposure leads to chronic bronchitis. Also called as Monday Morning Asthma> Byssinosis is due to inhalation of cotton fibre dust over long period of time.> The symptoms are chronic cough and progressive dyspnoea, ending in chronic bronchitis and emphysema.